Vaginal and urinary prolapse occur in all condition EXCEPT:
1. Rapid succession of pregnancies
2. Pudendal nerve injury
3. Prolonged bearing down efforts
4. Recurrent abortion

Correct answer: 4. Recurrent abortion

Explanation: Ans. D i.e. Recurrent abortion Prolapse Cystocoele is: Prolapse of upper 2/ 3'd of anterior vaginal wall Complications: Decubitus ulcers (due to venous congestion) etc. Management of prolapsed in women < 40 years with complete family; wanting to retain menstrual function: Fothergill's repair Management in young women: - Sling operation, - Perineal exercises Management in 2nd trimester: Spontaneous resolution Management in 1" trimester: Pessary